Which of the following drug, if given with terfenadine can cause ventricular Arrythymia
1. Ketoconazole
2. Griesofulvin
3. Ampicillin
4. Sparfloxacin

Correct answer: 1. Ketoconazole

Explanation: Ketoconazole alters the metabolism of terfenadine in normal men and women. This results in accumulation of the parent drug, and is associated with significant prolongation of QTc. This drug combination should be avoided Refer kDT 6/e p156